Proto-oncogene associated with Burkitt's lymphoma is?
1. C-MYC
2. N-MYC
3. L-MYC
4. RET

Correct answer: 1. C-MYC

Explanation: Ans. is 'a' i.e., C-MYC * All forms of Burkitt lymphoma are associated with translocations of c-Myc gene on chromosome 8. The usual translocation is t (8:14). Other less common translocations are t (2 : 8) and t (8 : 22).